Robert Koch assistant advised him to use agar instead of gelatine for solidifying culture media for cultivation of bacteria as -
1. Agar has more nutrition
2. Gelatin melts at 37°C
3. Gelatin is not easily available
4. Agar is cheaper

Correct answer: 2. Gelatin melts at 37°C

Explanation: Agar is preferred to gelatin as a solidifying agent in culture media.
This is because gelatin melts at relatively low temperature (<35o C), while agar melts at around 85° C.
Therefore, when gelatin is incubated at the normal temperature for bacterial growth, i e. at 37° C, it melts, while agar remains solid.